Irregular thigh folds are seen in -
1. Developmental dysplasia of hip
2. Perthe's disease
3. Slipped Capital femoral epiphysis
4. Congenital coxa vara

Correct answer: 1. Developmental dysplasia of hip

Explanation: Answer- A. Developmental dysplasia of hip